Drug of choice for herpes simplex keratitis is :
1. Acyclovir
2. Ganciclovir
3. Amantadine
4. Interferon

Correct answer: 1. Acyclovir